Thymoma is associated with:
1. Myasthenia gravis
2. Hypergammaglobulinemia
3. SLE
4. Multiple sclerosis

Correct answer: 1. Myasthenia gravis

Explanation: Approximately 75% of the patients with myasthenia gravis may have thymic abnormalities. About 30% of the patients with myasthenia gravis have thymoma. So Myasthenia gravis is the single best answer of choice. Ref: Harrison's Principles of Internal Medicine, 16th Edition, Page 2521